ANCA positive vascuiltis is
1. Henoch schonlein purpura
2. Behcet'S syndrome
3. Wegener's granulomatosis
4. None

Correct answer: 3. Wegener's granulomatosis

Explanation: Wegener granulomatosis is a necrotizing vasculitis characterized by a specific triad of findings: * Granulomas of the lung and/or the upper respiratory tract (ear, nose, sinuses, throat) * Vasculitis of small to medium-sized vessels (capillaries, venules, arterioles, and arteries), most prominently in the lungs and upper respiratory tract * Glomerulonephritis PR3-ANCAs are present in almost 95% of cases and probably drive the subsequent tissue injury; Robbins Basic pathology,9th edition,pg no.353